Which of the following can be predicted from a flush
terminal plane of primary dentition?
1. Always results in Class I molar relation
2. Always results in Class II molar relation
3. Always results in Class III molar relation
4. Final molar relation cannot be predicted definitely

Correct answer: 4. Final molar relation cannot be predicted definitely